In Thyrotoxicosis,f1-blockers do not control:
1. Anxiety
2. Tremors
3. Tachycardia
4. Oxygen consumption

Correct answer: 4. Oxygen consumption

Explanation: Answer is D (Oxygen consumption): Betablockers do not correct the underlying metabolic abnormalities (i.e. does not affect the oxygen consumptionQ). This is why propanolol should only be used as an adjunctive therapy.